A 35 year old female presents to the OPD with headaches and high blood pressure. On investigations, increased aldosterone levels with low renin levels are seen and a diagnosis of Conn's syndrome is made. Excess secretion of aldosterone can cause all except
1. Slight increase in ECF volume
2. Increase in plasma Na+ > 7 meq/L
3. Hypertension
4. Hypokalemia

Correct answer: 2. Increase in plasma Na+ > 7 meq/L

Explanation: Excess secretion of aldosterone causes only a modest increase in plasma sodium, usually <4-6 mEq/L rise in plasma sodium. When sodium gets reabsorbed, water also accompanies it, resulting in plasma sodium remaining fairly normal. Conn's syndrome or primary hyperaldosteronism is due to aldosterone producing tumor of the zona glomerulosa, causing: Loss of potassium by the kidneys leading to hypokalemia. Mild metabolic alkalosis. A slight increase in extracellular fluid volume and blood volume. A modest increase in plasma sodium concentration. Hypertension. Ref: Guyton and Hall 13th edition Pgno: 981